Frie's test is useful for diagnosis of -
1. Mycoplasma
2. Rickettsia
3. Sarcoidosis
4. Chlamydia

Correct answer: 4. Chlamydia

Explanation: Ans. is 'd' i.e., Chlamydiao Fries test (skin hypersensitivity test) was used for LGV (caused by chlamydia trachomatis),o But it is not used nowr because of high false positive results.